Vogt's triad is indicative of
1. Past attack of herpes zoster ophthalmicus
2. Vogt-Koyanagi-Harada syndrome
3. Past attack of acute iridocyclitis
4. Past attack of acute-angle closure glaucoma

Correct answer: 4. Past attack of acute-angle closure glaucoma

Explanation: Vogt's triad of clinical signs of past acute angle closure glaucoma includes sector iris atrophy, pigment dispersion on corneal endothelium and anterior subcapsular cataractous changes called Glaukomflecken. Ref:- Parsons diseases of eye; pg num:-298